Swan Ganz. catheter is used for -
1. Lt. cardiac output
2. Pulmonary capillary pressure
3. O2 saturation in mixed venous blood
4. All of the above

Correct answer: 4. All of the above